Drugs used to control post partum hemorrhage are all except:
1. Prostaglandin analogue
2. Oxytocin
3. Progesterone
4. Ergotmetrine

Correct answer: 3. Progesterone

Explanation: Ans. C: Progesterone Medications used to control postpartum hemorrhage (PPH) are in the category of uterotonic drugs. These drugs stimulate contraction of the uterine muscle, helping to control PPH. Oxytoc in Produces rhythmic uterine contractions, can stimulate the gravid uterus, and has vasopressive and antidiuretic effects. Can be used to control postpartum bleeding or hemorrhage. Some suggest its prophylactic use in the third stage of labour. Ergotmetrine Acts directly on uterine smooth muscle, causing a sustained tetanic uterotonic effect that reduces uterine bleeding and shortens the third stage of labor. Administer IM or intramyometrially during puerperium, during delivery of placenta, or after delivering anterior shoulder Prostaglandin Analogue Carboprost-Prostaglandin similar to F2-alpha, but it has a longer duration and produces myometrial contractions that induce hemostasis at the placentation site, which reduces postpartum bleeding. Misoprostol- Synthetic prostaglandin E 1 analog. Ergonovine Used to prevent and treat PPH due to uterine atony by producing firm contraction of the uterus within minutes. Although it is intended primarily for IM administration, a faster response can be achieved with IV use. Compared with IM route, IV route has a higher incidence of adverse effects